In a double blind clinical drug trial
1. Each patient receives a placebo
2. Each patient receives both (double) treatments
3. The patients do not know which treatment they are receiving
4. The patients do not know that they are in a drug trial

Correct answer: 3. The patients do not know which treatment they are receiving